An amino acid which does not participate in alpha helix formation?
1. Leucine
2. Methionine
3. Proline
4. Lysine

Correct answer: 3. Proline

Explanation: Proline can only be stably accommodated within the first turn of an α helix. When present elsewhere, proline disrupts the conformation of the helix, producing a bend.
 
Harper, Ed 30, Pg 38